Main treatment of congenital laryngeal stridor is -
1. Tracheostomy
2. Steroid therapy
3. Ressurance to the child's parents
4. Amputating epiglottis

Correct answer: 3. Ressurance to the child's parents

Explanation: Congenital laryngeal stridor is synonymous with laryngomalacia. Hence, management remains the same i.e. reassurance to childs parent